If the prevalence of a disease in a population increases, the predictive value of a positive test -
1. Increases
2. Decreases
3. Remains constant
4. Becomes compromised

Correct answer: 1. Increases